Which of the following hormone decreases intestinal motility?
1. Glucagon
2. CCK
3. Serotonin
4. Gastrin

Correct answer: 1. Glucagon

Explanation: Glucagon is produced by the A cells of the pancreatic islets and the upper gastrointestinal tract. It is glycogenolytic, gluconeogenic, lipolytic, and ketogenic. Large doses of glucagon produce profound relaxation of the intestine. It has a potent inotropic and chronotropic effect on the heart, mediated by the cAMP mechanism. It also stimulates the secretion of growth hormone, insulin, and pancreatic somatostatin. CCK (Cholecystokinin), gastrin, and serotonin increases intestinal motility. Ref: Barrett K.E., Barman S.M., Boitano S., Brooks H.L. (2012). Chapter 24. Endocrine Functions of the Pancreas & Regulation of Carbohydrate Metabolism. In K.E. Barrett, S.M. Barman, S. Boitano, H.L. Brooks (Eds), Ganong's Review of Medical Physiology, 24e.